Oedipus complex (given by Sigmund Freud) is seen in:
1. Boys of 1-3 years of age
2. Girls of 1-3 years of age
3. Boys of 3-5 years of age
4. Girls of 3-5 years of age

Correct answer: 3. Boys of 3-5 years of age

Explanation: Sigmund Freud described Oedipus complex for both sexes, however that term in mostly associated with male sex now a days. Sl No Phase Age Organ of Gratification 1 Oral Phase Birth - 1 1/2 years Oral Region 2 Anal Phase 1 1/2 - 3 years Anal and perianal area 3 Phallic phase 3 to 5 years Genital area Males: Sexual gratification towards mother Castration anxiety Oedipus complex Females: Penis envy Electra complex 4 Latency Phase 5 to 12 years - Extra edge: Superego is formed at this age 5 Genital phase >12 years Genitals